Amyloid deposit stain positively with all of the following except
1. Congo red
2. Crystal violet
3. Methanamine silver
4. Thioflavin T

Correct answer: 3. Methanamine silver

Explanation: Ref Robbins 9/e p262 The Modified Gomori Methenamine-SilverNitrate Stain (GMS Stain) is intended for usein the histologic visualization of fungi, basement membrane and some opportunistic organisms such as Pneumocystis carinii.